Medical treatment of choice in otosclerosis is:
1. Sodium fluoride
2. anti-histaminics
3. Cinnarazine
4. None of the above

Correct answer: 1. Sodium fluoride

Explanation: Medical treatment of choice in otosclerosis is sodium fluoride therapy especially in patients with active focus.